Tertiary structure of a protein describes
1. The order of amino acids
2. Location of disulphide bonds
3. Loop regions of proteins
4. The ways of protein folding

Correct answer: 4. The ways of protein folding

Explanation: Secondary structure denotes the configurational relationship between residues which are about 3–4 amino acids apart; or secondary level defines the organization at immediate vicinity of amino acids.
The tertiary structure denotes three dimensional structure of the whole protein.

Reference: Vasudevan 7th  ed, pg 38